In pylorus preserving Pancreatoduodenectomy following is not resected -
1. Pyloric antrum
2. CBD
3. Duodenum
4. None

Correct answer: 1. Pyloric antrum

Explanation: Ans. is 'a' i.e., Pyloric antrum o The standard resection for a tumour of the pancreatic head or the ampulla is a pylorus-preserving pancreatoduodenectomy (PPPD).o This involves removal of the duodenum and the pacreatic head, including the distal part of the bile duct.